Which of the following is not a positive ionotropic agent:
1. Dobutamine
2. Dopamine
3. Diltiazem
4. Amrinone

Correct answer: 3. Diltiazem

Explanation: Ans. C: Diltiazem Positive inotropic agents increase myocardial contractility, and are used to support cardiac function in conditions such as decompensated congestive heart failure, cardiogenic shock, septic shock, myocardial infarction, cardiomyopathy, etc. Examples of positive inotropic agents include Berberine Bipyridine derivatives-Amrinone/lnamirone, Milrinone Calcium sensitisers-Levosimendan Cardiac glycosides-Digoxin Catecholamines-Dopamine, Dobutamine, Dopexamine, Epinephrine (adrenaline), Isoprenaline (isoproterenol), Norepinephrine (noradrenaline) Eicosanoids-Prostaglandins PDE inhibitor-Enoximone, Milrinone, Theophylline Glucagon Negative inotropic agents decrease myocardial contractility, and are used to decrease cardiac workload in conditions such as angina. Beta blockers Calcium channel blockers Diltiazem Verapamil Clevidipine Class IA antiarrhythmics such as Quinidine, Procainamide, disopyramide Class IC antiarrhythmics such as Flecainide